All are seen in acute HIV syndrome except:
1. Diarrhoea
2. Pneumonia
3. Weight loss
4. Myelopathy

Correct answer: 2. Pneumonia

Explanation: Findings in Acute HIV syndrome is: 1) Fever 2) Lymphadenopathy 3) Pharyngitis 4) Headache 5) Arthralgias 6) Myalgias 7) Weight loss 8) Nausea/vomiting/diarrhea 9) Meningitis 10) Encephalitis 11) Peripheral neuropathy 12) Myelopathy 13) Erythematous maculo-papular rash 14) Mucocutaneous ulceration